Which of the following is NOT indicated in Digitalis poisoning -
1. Potassium
2. Hemodialysis
3. Phenytoin
4. Lidocaine

Correct answer: 2. Hemodialysis

Explanation: Ans. is 'b' i.e., Hemodialysis Hemodialysis & Diuretics are not effective.